Cavitation of the lungs is not a feature of:
1. Lung abscess
2. Primary pulmonary tuberculosis
3. Secondary pulmonary tuberculosis
4. Bronchogenic carcinoma

Correct answer: 2. Primary pulmonary tuberculosis

Explanation: Ans. B: Primary pulmonary tuberculosis Cavitation is rare in primary TB Radiological changes of secondary TB includes ill-defined opacification in one or both of the upper lobes, and as progression occurs, consolidation, collapse and cavitation develop to a varying degree Cavitation in lungs can be seen in C- Carcinoma - Squamous is most common A- Autoimmune - Wegener's granulomatosis, Rheumatoid nodules V- Vascular - Emboli (septic emboli or bland emboli) I- Infection - Lung abscess, Bacterial pneumonia, Fungal pneumonia, Tuberculosis (secondary), Pneumatocele T- Trauma - Pulmonary laceration Y- Young (congenital) - Congenital cystic adenomatoid malformation, Pulmonary sequestration, Bronchogenic cyst